Stress fracture occurs most commonly in:
1. Metatarsals
2. Metacarpals
3. Calcaneum
4. Talus

Correct answer: 1. Metatarsals

Explanation: Ans. (a) MetatarsalsRef: Essential Orthopedics Maheshwari, 5th edn/ 167* Stress fractures often develop from overuse, such as from high-impact sports like distance running or basketball.* Most stress fractures occur in the weight-bearing bones of the foot and lower leg. Studies show that athletes participating in tennis, track and field, gymnastics, dance, and basketball are at high risk for stress fractures.* It most commonly occurs in metatarsals.* It is seen due to imbalance between load and resistance on the bone.* 2 Types of stress fracture:# FATIGUE : Increased load, Normal resistance of bone# INSUFFICIENCY : Normal load, Decreased resistance of bone* Examples of stress fracture:# Lower extremity: March - 2nd MT > 3rd MT# Upper extremity: Olecranon